Pointing index deformity is due to damage to which nerve-
1. Ulnar
2. Radial
3. Median
4. Axillary

Correct answer: 3. Median

Explanation: Ans. is 'c' i.e., Median Nerve damagedEffect of lesionUpper trunk of brachial plexus (Erb's palsy)Policeman's tip hand or Porter's tip handLower trunk of brachial pexus (Klumpke's palsy)Claw hand, Homer's syndromeLong thoracic nerveWinged scapulaMedianPointing index, Ape thumb (simian thumb)UlnarClaw hand (ulnar claw hand)Median + ulnarClaw hand (complete claw hand)RadialWrist drop